Spread of which disease cannot be controlled by isolation -
1. Diphtheria
2. Neonataltetanus
3. Cholera
4. Mumps

Correct answer: 2. Neonataltetanus

Explanation: Ans. is 'b' i.e., Neonatal tetanus Periods of isolation recommendedDiseaseDuration of isolationChickenpoxUntil all lesions cursted; usually about 6 days after onset of rashMeaslesFrom the onset of catarrhal stage through 3rd day of rashGerman measlesNon, except that women in the first trimester or sexually active, non immune women in child-bearing years not using contraceptive measures should not be exposed.Cholera, diphtheria3 days after tetracyclines started, until 48 hours of antibiotics (or negative culturs after treatment)ShigellossisSalmonellosis}Until 3 consecutive negative stool cultures.Hepatitis AInfluenzaPolioTuberculosis (sputum -V)3 weeks3 days after onset2 weeks adult, 6 weeks paediatric.Until 3 weeks of effective chemotherapyHerpes zosterMumpsPertussis6 days after onset of rashUntil swelling subsides4 weeks or until paroxysms ceaseMeningococcalminingtirisStreptococcalPharyngitis}Until the first 6 hours of effective antibiotic therapy are completedo Isolation has failed in the control of disease such as leprosy, TB & STD. In the control of these diseases, the concept of physical isolation has been replaced by chemical isolation, Le., rapid treatment of cases in their own-homes and rendering them non-infectious as quickly as possible.